Cis atracurium is preferred over atracurium due to advantage of –
1. Rapid onset
2. Short duration of action
3. No histamine release
4. Less cardiodepressant

Correct answer: 3. No histamine release

Explanation: Most important advantage of cisatracurium is that it does not provoke histamine release, therefore it is preferred over atracurium.
Onset of action is similar for both atracurium and cisatracurium, and cis-atracurim has longer duration of action.